The tumor causing polycythemia due to erythropoietin production is -
1. Cerebellar hemangioma
2. Medulloblastoma
3. Ependymoma
4. Ougodendroglioma

Correct answer: 1. Cerebellar hemangioma

Explanation: The tumors causing inappropriate rise in erythropoietin are renal cell caarcinoma,hepatocellular carcinoma ,cerebellar hemangioblastoma.

Reference :Harsh mohan textbook of pathology sixth edition pg no 359.